Which of the following should arouse suspicion of streptococcal sore throat?
1. Exudates in throat
2. Tender enlarged cervical nodes
3. Absence of nasal and conjunctival injection
4. All of the above

Correct answer: 4. All of the above

Explanation: Ans. D. All of the aboveSore throat is due to acute inflammation of the pharynx and tonsils. Most often, it is associated with viral infections of the upper respiratory tract such adenovirus, influenza and parainfluenza viruses. A possibility of acute pharyngitis due to group A beta haemolytic streptococci may be considered in a patient who has exudates in the throat, tender enlarged cervical lymph nodes along with absence of nasal and conjunctival congestion.